Which of the following is a prodrug -
1. Enalapril
2. Clonidine
3. Salmeterol
4. Acetazolamide

Correct answer: 1. Enalapril

Explanation: Ans. is 'a' i.e., Enalapril Prodrugo Few drugs are inactive as such and need conversion in the body to one or more active metabolites,o Such a drug is called a prodrug.o All the drugs in following table are very important, sorry, I can not shorten the listProdrugLevodopaEnalaprila - MethyldopaChloralhydrateDipiveffineOxcarbazepinePrednisoneBacampicillinSulfasalazineCyc lophospham ideMercaptopurineFluorouracilSulindacAzathioprineCortisoneBenorilateProguanilZidovudinTerfenadineProntosilo Advantages of prodrugs over active formMore stableBetter bioavailabilityLess side effects and toxicity.